To test the association between risk factor and disease, which of the following is the weakest study design?
1. Case –control study
2. Cohort study
3. Ecological study
4. Cross sectional study

Correct answer: 3. Ecological study